Iodized salt is given to prevent goitre to ?
1. All population
2. Population of Himalayan belt
3. Population of Hilly areas
4. Population of village area

Correct answer: 1. All population

Explanation: Ans. is 'a' i.e., All population In India, the entire population is prone to IDD due to deficiency of iodine in the soil of the subcontinent consequently the food derived from it. The iodization of salt is now the most widely used prophylactic public health measure against endemic goitre. In India the level of iodization is fixed under the Prevention of food adulteration (PFA) act and is not less than 30 ppm at the production point and not less than 15 ppm of iodine at the consumer level.